Which of the following is the most common cause of premature death in schizophrenia:
1. Homicide
2. Suicide
3. Toxicity of antipsychotic drug
4. Hospital acquired infection

Correct answer: 2. Suicide

Explanation: B i.e. Suicide - Suicide is the most common cause of premature death in schizophreniaQ- Schizophrenic patients are no more likely to commit homicide than is a member of general population, however, it may be for unpredictable or-bizarre reasons based on hallucinations or delusion.Sucide In Schizophrenia- Suicide is the single leading cause of premature death among people with schizophreniaQ- 20-50% patients make an attempt, with 10-13% long term rates of suicide. It is -20 folds higher than the suicide rate of general population.- Often suicide in schizophrenia seems to occur out of the blue without prior warnings or expression of verbal intent. >2/3 patients had seen an apperently unsuspected clinician within 72 hours. Clozapine may have particular efficacy in reducing suicidal ideation in schizophrenia patients with prior hospitalizations for suicidality. Adjunctive antidepressants may be effective in alleviating comorbid major depression in schizophrenia.Risk Factors- Most important factor is the presence of major depressive episode- Patients with the best prognosis (few negative symptoms, preservation of capacity to experience affects, better abstract thinking) can paradoxically also be at highest risk for suicide.- Profile of patient at greatest risk is young man who once had high expectations, declined from a higher level of functioning, realizes that his dreams are not likely to come true has lost faith in the effectiveness of treatment.